In walking, gravity tends to tilt pelvis and trunk to the unsupported side, major factor in preventing this unwanted movements
1. Adductor muscles
2. Quadriceps
3. Gluteus maximus
4. Gluteus medius and minimus

Correct answer: 4. Gluteus medius and minimus

Explanation: Gluteus medius and minimus prevent the tilting of pelvis on the unsupported side Gluteus medius and minimus supplied by superior gluteal nerve